Complications of Hemithyroidectomy include all of the following Except?
1. Hypocalcemia
2. Wound hematoma
3. Recurrent laryngeal nerve palsy
4. External branch of superior laryngeal nerve palsy

Correct answer: 1. Hypocalcemia